All of the following are seen in MEN IIB except?
1. Hyperparathyroidism
2. Neuromas
3. Medullary carcinoma
4. Pheochromocytoma

Correct answer: 1. Hyperparathyroidism

Explanation: Hyperparathyroidism